True about anaesthesia machine – a) Cylinder is a part of high pressure systemb) O2 flush delivers < 35 litc) O2 flush delivers > 35 litd) Pipeline is a part of low pressure system
1. a
2. bc
3. ad
4. ac

Correct answer: 4. ac

Explanation: There are two sources of gases (O2, N2O & air) for anaesthetic machine :-


Cylinder          → High pressure system
Pipeline source → Intermediate pressure system


Oxygen flush delivers 35-75 liters of oxygen per minute.